Enterotest is used for diagnosis of
1. E. histolytica
2. N. fowleri
3. T. Cruzi
4. Giardia lambia

Correct answer: 4. Giardia lambia

Explanation: Stringtest / enterotest is done in Giardia lambia in which bile stained mucus is collected for examination of Trophozoites.